Windswept deformity is seen in:
1. Scurvy
2. Rickets
3. Achondroplasia
4. Osteoporosis

Correct answer: 2. Rickets

Explanation: b. Rickets(Ref: Nelson's 20/e p 336, Ghai 8/e p 115)Windswept deformityDefinitionA valgus deformity of one in association with varus deformity of other kneeCauses* Rickets* Rheumatoid Arthritis* Physeal osteochondromatosis* Hereditary dysplasia (epiphyseal dysplasia) of bone